The following drug is NOT useful during acute attack of bronchial asthma:
1. Salbutamol
2. Hydrocortisone
3. Cromolyn sodium
4. Theophylline

Correct answer: 3. Cromolyn sodium

Explanation: drugs used in an acute attack of asthma a) hydrocortisone b)salbutamol c)oxygen d)antibiotic (intensive), IV theophylline cromolyn sodium, nedocromil-mast cell stabilizers are used in chronic asthma ESSENTIALS OF MEDICAL PHARMACOLOGY SEVENTH EDITION KD TRIPATHI PG NO.233